The non sedative antithistamines are all except one
1. Fexofenadine
2. Desloratidine
3. Levocetirizine
4. Cinnarizine

Correct answer: 4. Cinnarizine

Explanation: HIGHLY SEDATIVEDiphenhydrarrineDimenhydrinatePromethazineHydroxyzine MODERATELY SEDATIVE PheniramineCyproheptadineMeclizineCinnarizine MILD SEDATIVEChlorpheniramineDexchlorpheniramineTriprolidineClemastine SECOND GENERATION ANTIHISTAMICSFexofenadineLoratadineDesloratadineCetirizineLevocetirizineAzelastineMizolastineEbastineRupatadine All 1st generation drugs are more sedating than 2nd generation drugs REF:ESSENTIALS OF MEDICAL PHARMACOLOGY;KD TRIPATHI 8TH EDITION